Treatment of hyperkalemia includes -
1. IV dextrose infusion
2. Parenteral NaCO3
3. Albuterol
4. All of the above

Correct answer: 4. All of the above